Dorsal artery of penis passes beneath which layer
1. Colle's fascia
2. Buck's fascia
3. Dartos layer
4. Tunica albuginea

Correct answer: 2. Buck's fascia

Explanation: Structure of penis:- Corpus spongiosum carry urethra - for urine excretion- Corpora cavernosa (2 in number) carry blood in cavernous spaces. - help in erection of penis. Supplied by deep artery of penis.- These 3 bodies are covered by Tunica albuginea very closely.- Outside that there is deep penile fascia / Buck's fascia - which encloses dorsal artery* If Buck's fascia is intact, then blood & urine cannot escape the penile shaft. (it prevents extravasation of blood & urine from penile shaft)- Buck's fascia is covered by superficial fascia - Dartos fascia which is continuation of colle's fascia in perineum region - Buck's fascia also separates 2 veins - superficial & Deep dorsal veins